In general, what species are predominant in supragingival tooth-associated attached plaque?
1. Gram-negative rods and cocci
2. Gram-negative filaments
3. Gram-positive filaments
4. Gram-positive rods and cocci

Correct answer: 4. Gram-positive rods and cocci

Explanation: Supragingival plaque is either tooth-associated or outer layer. Tooth-associated is composed primarily of gram-positive cocci and short rods.